Which of the following is true about posterior cruciate ligament
1. Attached to lateral femoral condyle
2. Intrasynovial
3. Prevents posterior dislocation of tibia
4. Relaxed in full flexion

Correct answer: 3. Prevents posterior dislocation of tibia

Explanation: C i.e., Prevents posterior dislocation of tibiaThe synovial lining of knee joint follows the capsule, except posteriorly where it is reflected forward around the front of cruciate ligaments, forming a common covering of both ligaments. Hence the cruciate ligaments are extra synovial but intracapsular. These lie behind synovial cavity & are not bathed in synovial fluid.